All of the following may be used to differentiate Central Retinal Venous Occlusion (CRVO) from Ocular Ischemic Syndrome due to, except:
1. Dilated Retinal Vein
2. Tortuous Retinal Vein
3. Retinal Artery Pressure
4. Ophthalmodynamometry

Correct answer: 1. Dilated Retinal Vein

Explanation: Central Retinal Vein Occlusion and Ocular Ischemic Syndrome due to carotid artery stenosis are both associated with Dilated Retinal veins and hence this feature cannot be used to distinguish these conditions. Ref: Ophthalmology By Yanoff, 3rd Edition, Page 625; Ocular Therapeutics Handbook: A Clinical Manual, 2nd Edition, Page 86